The MOST frequently implicated antibiotic among the causes of DILI is:
1. Amoxicillin -clavulanic acid
2. Oxacillin
3. Erythromycin
4. Doxycyclin

Correct answer: 1. Amoxicillin -clavulanic acid

Explanation: Amoxicillin-clavulanic acid causes inflammatory cholestasis. It is the most common cause of antibiotic induced DILI. Other examples of drugs causing Inflammatory cholestasis are Phenothiazine Oxacillin Erythromycin oleate Ref: Harrison, Edition-18, Page 2561